A 28-year-old primi presented with true labor pain. The resident doctor examines the patient and notices multiple painful tiny vesicular ulcers over the vulva and vaginal walls. On examination, there are painful, enlarged lymph nodes, and microscopic examination shows multinucleated giant cells. What is the best step in the management of delivery in this patient?
1. Vaginal delivery
2. Local application of antibiotic
3. Give tocolytics and treat the infection
4. Cesarean section

Correct answer: 4. Cesarean section

Explanation: Painful genital ulcers and painful inguinal lymph adenopathy is suggestive of herpes virus infection. The best step in the management of delivery in this patient is Cesarean section. Herpes infection in the newborn may occur during birth, particularly if the mother has genital lesions due to HSV-2. In such cases, Cesarean section may prevent infection Reference: Ananthanarayan and Paniker's Textbook of Microbiology Tenth edition